The vasoactive amine that causes vasodilatation, released during inflammation, is found in which of the cell:
1. Plasma cells
2. Lymphocytes
3. Monocytes
4. Mast cells

Correct answer: 4. Mast cells